Positive schick's test indicates that the person is-
1. Immune to diphtheria
2. Hypersensitive to diphtheria
3. Susceptible to diphtheria
4. Susceptible and hypersensitive to diphtheria

Correct answer: 3. Susceptible to diphtheria

Explanation: - Schick test: intradermal test to demonstrate circulating diphtheria antitoxin. This antitoxin may be present either due to previous infection or immunisation. -this test demonstrate immunity or susceptibility of a person against diphtheria. - positive Schick test signifies that the person is susceptible to diphtheria due to absence or lack of adequate amount of circulating antitoxin. Reference: Baveja text book of microbiology, 4th edition, pg no:219,220